An immunocompromised patient is suspected of having an infection with A. fumigatus. Which of the clinical conditions is most likely to occur?
1. Wound infection
2. Urinary tract infection
3. Invasive aspergillosis causing thrombosis and infarction
4. Thrush

Correct answer: 3. Invasive aspergillosis causing thrombosis and infarction

Explanation: Aspergillus is an opportunistic pathogen that can invade wounds, burns, abraded skin, cornea, and outer ear. However, in immunocompromised patients, infection of the wound site is not common. Aspergillus does not cause urinary tract infection. In immunocompromised persons, invasive disease occurs. Blood vessel invasion can result in thrombosis and infarction. In pulmonary cavities (due to tuberculosis), "fungus ball" formation can occur, which can be seen on x-ray. Infection of the bronchi can result in allergic bronchopulmonary aspergillosis, characterized by asthmatic symptoms. Thrush is caused by C. albicans. Rashes are not usually seen with Aspergillus infection.